>50% PUFA is/are seen in – a)  Mustard oilb)  Soyabean oilc) Safflower oild)  Corn oil e) Palm oil
1. abc
2. acd
3. bcd
4. bd

Correct answer: 3. bcd

Explanation: > 50% of PUFA is seen in: Safflower oil, Sunflower oil, Corn oil, Soybean oil.